Which anaesthetic modality is to be avoided in sickle cell disease?
1. General Anaesthesia
2. Brachial Plexus Block
3. Intravenous Regional Anaesthesia
4. Spinal Anaesthesia

Correct answer: 3. Intravenous Regional Anaesthesia

Explanation: IV regional anaesthesia is useful for rapid anesthetization of an extremity (upper or lower). A rubber bandage is used to force the blood out of the limb and a tourniquet is applied to prevent the re-entry of blood.This causes risk of massive hemolysis due to low oxygen tension or hemolytic crisis due to low blood flow.All the other given methods above don't carry that risk.